Which of the following is the mechanism of action of local anaesthetics?
1. Block Na+ channel
2. Block K+ channel
3. Open Na+ channel
4. Block Ca+ channel

Correct answer: 1. Block Na+ channel

Explanation: "Local anaesthetics block the conduction of action potential by blocking voltage gated Na+ channels". Ref: Medical Pharmacology at a Glance By Michael J. Neal 4/e, Page 15 ; Instant Pharmacology By Kourosh Saeb Parsy, Ravi G, Assomul, Fakkar J. Khan, Kasra Saeb Parsy, Eamonn Kelly; Page 123